True about SLE is?
1. Autoimmune disease
2. Childhood SLE had poor prognosis than adult SLE
3. Presence of ANA
4. All are true

Correct answer: 4. All are true

Explanation: Ans. is 'd' i.e., All are true SLE (sytemic lupus Erythematosus) Autoimmune disorder Inflammation of blood vessel Childhood SLE had poor pnognosis than adult SLE Hall mark of SLE is presence of antinuclean antibody (ANA) More common in female. Malar rash in pathognomic of SLE Non - erosive arthritis Nephritis Encephalopathy Pleuritis / Pericarditis Cytopenia